Spalding sign is seen in:
1. Abortion
2. Stillbirth
3. Intrauterine death
4. Infanticide

Correct answer: 3. Intrauterine death

Explanation: Ans. Intrauterine death